The chance that a health worker gets HIV from an accidental needle prick is:
1. 0.30%
2. 20-30%
3. 3040%
4. 20%

Correct answer: 1. 0.30%

Explanation: Ans. A i.e. 0.3% Taken together, the data from several large studies suggest that the risk of HIV infection following a Percutaneous exposure to HIV contaminated blood is nearly 0.3% and after a mucous membrane exposure, approximately 0.09% HIV HIV is Single stranded, Positive sense, RNA virus HIV is found in Blood, Semen, Saliva HIV consists of 2 copies of ss RNA, RNA dependent DNA polymerase (reverse transcriptase) , Integrase, Protease Seroconversion takes 4 weeks MC mode of transmission: Hetero-sexual In hetero-sexual transmission: Male to female is commoner (as compared to female to male) Chances of transmission with accidental needle prick: 0.3% Retroviral sequence in host cell: RNA-DNA-RNA p24 antigen (used for early diagnosis) disappears after: 6-8 weeks of HIV infection CD4: CD8 ratio is Reversed in HIV infection Reservoir of HIV infection: Macrophages Window period: Time period between, infection to appearance of antibodies in serum During window period, ELISA and western blot are: Negative MC cause of diarrhea in AIDS: Cryptosporodiosis (NOT cryptococcus) MC cause of meningitis in AIDS: Cryptococcus MC cause of oral ulcer in AIDS: Candida MC cause of TB in AIDS in tropical countries: Mycobacterium TB MC opportunistic infection in AIDS in India is TB Window period: Time period between infection and detection of antibodies against HIV Hallmark of HIV: -- Profound immunodeficiency, -- Quantitative and qualitative deficiency of helper or inducer T cells AIDS related neoplasm: - Kaposi sarcoma, - B cell non-Hodgkins lymphoma -- Primary lymphoma of brain Kaposi sarcoma arises from: Cells lining lymph vessels or blood vessels Kaposi sarcoma is associated with: -- HIV, -- Immunosuppression/ organ transplants